Castleman disease is associated with ?
1. HSV
2. CMV
3. EBV
4. HHV- 8

Correct answer: 4. HHV- 8

Explanation: Ans. is 'd' i.e., HHV - 8 Castleman disease is group of lymphoproliferative disorders. Disease is caused by hypersecretion of IL-6. Release of these cytokines may be caused by HHV-8 in HHV-8 associated Multicentric Castleman Disease (MCD).